Apical group of lymph nodes belong to which level in axillary group of nodes -
1. Level I
2. Level II
3. Level III
4. Supraclavicular

Correct answer: 3. Level III

Explanation: Apical group nodes are subclavicular group